Ulnar nerve injury at wrist involves following except -
1. Palmar interossei
2. Opponens pollicis
3. Dorsal interossei
4. Adductor pollicis

Correct answer: 2. Opponens pollicis

Explanation: Opponens pollicis is supplied by median nerve.
All other three muscles are supplied by ulnar nerve.